Which is not true about high copper amalgam alloys:
1. Low tensile and compressive strength
2. Low Hg: Alloy ratio
3. High tensile strength
4. Low creep

Correct answer: 1. Low tensile and compressive strength